Which one of the following is not a treatment of Gastroesophageal Variceal hemorrhage ?
1. Sclerotherapy
2. Sengstaken tube
3. Trans-jugular intrahepatic Porta-caval shunt
4. Gastric freezing

Correct answer: 4. Gastric freezing

Explanation: Ans. (d) Gastric freezingRef.: Harrison 18thed, / 2598* Endoscopy followed by endoscopic variceal ligation should be performed.* Balloon tamponade with Sengstaken Blakemore tube or Minnesota tube can be used in patients who cannot get endoscopic therapy immediately or who need stabilization prior to endoscopic therapy.* Some endoscopists will use variceal injection therapy (sclerotherapy) as initial therapy, particularly when bleeding is vigorous.* Shunt therapy (Transjugular intrahepatic portacaval shunt) has been shown to control refractory bleeding. Pharmacologic Therapy for Variceal Hemorrhage* Vasopressin, most potent vasoconstrictor, use is limited by side effects.* Somatostatin and octreotide* Octreotide is the preferred pharmacological agent